A hair is found at crime and you are asked to evaluate whether it is human .Which of the following attributes indicates that the hair will be of human origin
1. Medullary index of 1
2. Pigment granules present in cortex and medulla
3. Cuticle completely covers hair shaft
4. Medullary index of 0.5

Correct answer: 3. Cuticle completely covers hair shaft

Explanation: The cuticle completely covers the hair shaft in human hair. It partly covers the hair shaft in animal hair Human hair has three parts Cuticle -outer layer Cortex-middle layer Medulla - inner layer